A young boy had itchy, excoriated papules on the forehead and the exposed parts of the arms and legs for three years. The disease was most severe in the rainy season improved completely in winter. The most likely diagnosis is:
1. Insect bite hypersensitivity
2. Scabies
3. Urticaria
4. Atopic dermatitis

Correct answer: 1. Insect bite hypersensitivity

Explanation: Ans. a. Insect bite hypersensitivity (Ref: Andrew's Diseases of Skin 11/e p438-439; Neena Khanna 5/e p259)A young boy had itchy, excoriated papules on the forehead and the exposed parts of the arms and legs for three years. The disease was most severe in the rainy season improved completely in winter. The most likely diagnosis is insect bite hypersensitivity.Insect Bite Hypersensitivity:Predominance of lesions on exposed part of body indicate the role of an external gent in the causation rather than an endogenous agentIncreased incidence in rainy season as insect bites are more common in rainy season due to increased breeding